A 10 year old male child has been brought with complaints of poor growth, poor appetite, short stature, clubbing and recurrent chest infections. He also has steatorrhea. What is his most likely diagnosis?
1. Cystic fibrosis
2. Celiac Diseases
3. Biliary cirrhosis
4. Bronchiectasis

Correct answer: 1. Cystic fibrosis

Explanation: Ans. A. Cystic fibrosisCystic fibrosis (CF) is a disease of exocrine gland function that involves multiple organ systems but chiefly results in chronic respiratory infections, pancreatic enzyme insufficiency, and associated complications in untreated patients. Median age at diagnosis is 6-8 months; however, age at diagnosis varies widely. Clinical manifestations vary with the patient's age at presentation. GI symptoms may include steatorrhea, meconium ileus, and abdominal distention. Respiratory symptoms may include recurrent pneumonias and recurrent whizzing.